Bartholin's duct opens and drains its secretion to:
1. Labia majora and minora
2. A groove between labia minora and hymen
3. The lower vagina
4. The upper vagina

Correct answer: 2. A groove between labia minora and hymen

Explanation: Greater vestibular or Bartholin glands are the homologs of the male bulbourethral or Cowper glands. They are in contact with and often overlapped by the posterior ends of the vestibular bulbs. Each gland is connected to the vestibule by an approximately 2-cm long duct. The ducts open in the groove between the labia minora and the hymen-the vestibule-at approximately 5 and 7 o'clock positions. The glands contain columnar cells that secrete clear or whitish mucus with lubricant properties. Ref: Hoffman B.L., Schorge J.O., Schaffer J.I., Halvorson L.M., Bradshaw K.D., Cunningham F.G., Calver L.E. (2012). Chapter 38. Anatomy. In B.L. Hoffman, J.O. Schorge, J.I. Schaffer, L.M. Halvorson, K.D. Bradshaw, F.G. Cunningham, L.E. Calver (Eds), Williams Gynecology, 2e.